For the cold testing maximum time of application of cold is:
1. 5sec
2. 10sec
3. 15sec
4. 20sec

Correct answer: 3. 15sec